Onodi cells and Haller cells of ethmoid labyrinth is seen in relation to following respectively
1. Optic nerve and floor of orbit
2. Optic nerve and internal carotid aery
3. Optic nerve & naso lacrimal duct
4. Orbital floor and nsolacrimal duct

Correct answer: 1. Optic nerve and floor of orbit

Explanation: A i.e. Optic nerve and floor of orbit Agger nasi cells are medial relations of lacrimal sac & duct; Haller's cells develop medially beneath orbital floort2 and Sphenoethmoid or Onodi cells is intimately related to optic nerve & canal and internal carotid aeryQ. It may contain tuberculum nervi optic, where the optic canal bulges into the wall of onodi cell. And optic nerve injury is a devastating complication of endoscopic sinus surgery, paicularly if a sphenoethmoid cell is present.